The treatment of annular pancreas is
1. Gastro-jejunostomy
2. Duodeno-duodenostomy
3. Duodeno-jejunostomy
4. Gastro-duodenostomy

Correct answer: 2. Duodeno-duodenostomy

Explanation: Duodenal obstruction typically causes vomiting in neonate.The usual treatment is bypass(duodenoduodenostomy) Bailey & Love ,26th,1125.